Infra-bony pockets are treated by:
1. Gingivectomy
2. Gingivoplasty
3. Flap operation
4. Vestibuloplasty

Correct answer: 3. Flap operation